Which of the following best denotes classical complement pathway activation in immune inflammatory condition:
1. C2, C4 and C3 decreased
2. C2 and C4 normal, C3 is decreased
3. C3 normal and C2, C4 decreased
4. C2, C4, C3 all are elevated

Correct answer: 1. C2, C4 and C3 decreased

Explanation: Classical complement pathway involves reduction in all complement components C1 to C9 Alternate pathway causes depletion of all components except C1, C2 and C4Complements(heat labile proteins found in serum/produced by the liver):Classical pathway Alternate pathwayActivated by antigen antibody reaction does not need antigen antibody reaction Antigen antibody binding activates *activated by Complement C1 and initiates the cascade IgG complexes Complex carbohydrates Endotoxins Properidin Serum factors B & D Magnesium ions activation occurs directly at C3 level And doesnot involve early factors C1, C4 & C2ref: Harrison's 18/e p1011